Each of the following is a feature of papillary hyperplasia except one. Which one is not true?
1. It is a proliferative bone disease
2. It can be caused by wearing the dentures at night
3. It can be caused by poor oral hygiene
4. It can be caused by an ill-fitting denture

Correct answer: 1. It is a proliferative bone disease

Explanation: Paget’s disease of bone is a bone disease characterized by bone resorption followed by attempts at bone repair involving proliferation leading to bone deformities. Its etiology is unknown and it occasionally involves the maxilla and mandible. Papillary hyperplasia is characterized by multiple papillary projections of the epithelium caused by local irritation, poor-fitting denture, poor oral hygiene, and leaving dentures in all day and night.